After surgery, the wound heals in a linear fashion without any complication. This type of healing is called -
1. Primary Healing
2. Secondary Healing
3. Delayed primary Healing
4. Reepithelization

Correct answer: 1. Primary Healing

Explanation: Ans. is 'a' i.e., Primary Healing Primary Healingo Primary wound healing or healing by first intention occurs within hours of repairing a full-thickness surgical incision. This surgical insult results in the mortality of a minimal number of cellular constituents.Delayed Primary Healingo If the wound edges are not reapproximated immediately, delayed primary wound healing transpires. This type of healing may be desired in the case of contaminated woundsSecondary Healingo A third type of healing is known as secondary healing or healing by secondary intention. In this type of healing, a full-thickness wound is allowed to close and heal. Secondary healing results in an inflammatory response that is more intense than with primary wound healing. In addition, a larger quantity of granulomatous tissue is fabricated because of the need for wound closure. Secondary healing results in pronounced contraction of wounds.